Laryngocele arises from herniation through
1. Thyrohyoid membrane
2. Cricoepiglottic membrane
3. Thyroid membrane
4. Cricovocal membrane

Correct answer: 1. Thyrohyoid membrane

Explanation: Ans:A.)Thyrohyoid Membrane Laryngocele It is an air-filled cystic swelling due to dilatation of the saccule. Laryngoceles can be classified into three types: Internal - A laryngocele is defined as internal if the dilatation of Sacculeof the ventricle lies within the limits of the thyroid cartilage. External - If the laryngocele extends beyond the thyroid cartilage and protrudes through the thyrohyoid membrane producing a lateral neck mass, it is considered external. Combined - In which both internal and external components are seen.